Which of the following is the inheritance of Incontinentia Pigmenti?
1. AD
2. AR
3. X-linked dominant
4. X-linked recessive

Correct answer: 3. X-linked dominant

Explanation: X- Linked Recessive Inheritance Hemophila A and B Duchenne muscular dystrophy G6PD deficiency Retinitis pigmentosa (most severe- less common form) Brutons Agammaglobulinemia Hunters syndrome Chronic Granulomatous disease Wiskott-Aldrich syndrome Diabetes insipidus Lesch-Nyhan syndrome Fragile X syndrome Dents disease Kallman syndrome Androgen insensitivity syndrome Fabry's disease Alport syndrome X Linked Dominant Inheritance Vitamin D Resistant rickets Familial Hypophosphatemia (PHEX) Incontinentia pigmentii Oro-Facio-Digital syndrome Retts syndrome